Most common cause of hematochezia in children?
1. Rectal polyp
2. Meckel's diverticulum
3. Necrotizing enterocolitis
4. Acute gastritis

Correct answer: 1. Rectal polyp

Explanation: Causes of Lower GI bleeding in children - Neonate = anal fissure 1 month - 1 year = anal fissure 1 year - 2 years = Rectal polyp 2 years = Rectal polyp